Klinefelter syndrome is associated with all, except:
1. Delayed puberty
2. Male phenotype
3. Azoospermia
4. Barr body absent

Correct answer: 4. Barr body absent

Explanation: Ans. Barr body absent